Regarding Analgesic Nephropathy which of the following is TRUE/FALSE? 1. Small, scarred kidneys with papillary calcifications are a feature. 2. Patients usually have anuria due to papillary necrosis. 3. Individuals with analgesic nephropathy are at increased risk of a urothelial malignancy. 4. Heavy users of acetaminophen should be screened for evidence of renal disease. 5. Non-anion-gap metabolic acidosis from tubular damage is seen in analgesic nephropathy.
1. 1,2,3,4-True & 5-False
2. 1,3,4-True & 2,5-False
3. 1,3 -True & 2,4,5-False
4. 1,3,4,5-True & 2-False

Correct answer: 4. 1,3,4,5-True & 2-False

Explanation: Analgesic nephropathy patients will have small, scarred kidneys with papillary calcifications best appreciated by computed tomography. Patients may also have polyuria due to impaired concentrating ability and non-anion-gap metabolic acidosis from tubular damage. Individuals with end-stage kidney disease as a result of analgesic nephropathy are at increased risk of a urothelial malignancy it is recommended that heavy users of acetaminophen and NSAIDs be screened for evidence of renal disease. Ref: Harrisons Principles of Internal Medicine, 18th Edition, Page 2372